Which of the following is not a measure of dispersion?
1. Mean
2. Range
3. Variance
4. Standard error

Correct answer: 1. Mean

Explanation: Mean, median and mode are measures of central tendency. Dispersion: Spread of / scattering of values around a central value in a data distribution is called dispersion. Measures of dispersion Major methods: Range, mean deviation / average deviation, standard deviation Other methods: Coefficient of variation, precision, Variance, Inter - quartile range.